Nitrogen atoms in purines are derived from all except-
1. Aspartate
2. Glutamine
3. Glutamate
4. Glycine

Correct answer: 3. Glutamate

Explanation: Nitrogen atoms in purines are derived from amino acids - Aspartate Glutamine Glycine Nitrogen atoms in purines Carbon atoms in purines N1 from Aspartate C2 from N10Formyl Tetrahydrofolate N3 & N9 from Glutamine C4 and C5 from Glycine N7 from Glycine C6 from CO2 C8 from N5,N10Methenyl THF